Hemmorrhagic fever is not caused by ?
1. Yellow fever
2. KFD
3. Japenese encephalitis
4. Dengue fever

Correct answer: 3. Japenese encephalitis

Explanation: Ans. is 'c' i.e., Japenese encephalitis JE is not a hemorrhagic group arboviral disease.